Dens in dente is most commonly seen in:
1. Premolars
2. Paramolars
3. Lateral incisors
4. Maxillary canine

Correct answer: 3. Lateral incisors